Which of the following is the best-known metabolic function of the lung
1. Inactivation of serotonin
2. Conversion of angiotensin–I to angiotensin–II
3. Inactivation of bradykinin
4. Metabolism of basic drugs by cytochrome P–450 system

Correct answer: 2. Conversion of angiotensin–I to angiotensin–II

Explanation: Extracellular ACE on the surface endothelial cells in pulmonary circulation activates Angiotensin I to Angiotensin II.